Menke disease is associated with
1. Copper
2. Selenium
3. Zinc
4. Iron

Correct answer: 1. Copper

Explanation: Menke's Disease: (X linked , a condition of Cu deficiency) Deficient production of Cu binding P- type ATPase in intestine Menke's disease is due to defective lysyl oxidase C/F: Intellectual disability, Grey kinky hair. OTHER MINERAL DEFICIENCIES =Selenium - -Selenium as selenocysteine is an essential component of the enzyme glutathione peroxidase Deficiency - Keshan's disease - endemic cardiomyopathy(china) muscles weakness, hypothyroidism, HTN, eczema. selenium deficiency lead to increased risk of cardiovascular disease and cancer Toxicity - selenium toxicity lead to Selenosis. selenosis clinical features are emotional disturbance, diarrhea, hair loss, garlic odor (due to dimethyl selenide) in breath Selenium is also an intracellular antioxidant which complements the role of Vitamin E. Dietary sources of selenium include seafood, muscle meat, and some cereals. =Zinc Deficiency - Acrodermatitis enteropathica It is an autosomal recessive disease due to a defect in zinc absorbing transmembrane protein. Symptoms: Growth retardation Diarrhea Alopecia Dermatitis around the orifices Gonadal atrophy Impaired wound healing Zinc acts as a cofactor for: Carbonic anhydrase Carboxypeptidase Lactate dehydrogenase Alcohol dehydrogenase Alkaline phosphatase =Iron Deficiency - microcytic hypochromic anemia